The level of which one of the following hormones is likely to increase after hypothalamic ablation ?
1. Growth hormone
2. Prolactin
3. FSH
4. ACTH

Correct answer: 2. Prolactin

Explanation: Lesions of hypothalamic pituitary region that disrupts lactotrope response associated with hyperprolactinemia. radiation- induced damage cause elevated PRL levels , usually in the range of 30-100 microgram / litre ( Harrison 17 pg 2205)